Elimination after 3 half lives in first order kinetics is -
1. 12.50%
2. 75%
3. 87.50%
4. 94%

Correct answer: 3. 87.50%

Explanation: Ans. is 'c' i.e., 87.5%